A diagnosed case of SLE has renal biopsy finding suggestive of mesangial proliferative nephropathy. It belong to which class of lupus nephritis:
1. Class I
2. Class II
3. Class III
4. Class IV

Correct answer: 2. Class II

Explanation: Classification of lupus nephritis: Class I - Minimal mesangial lupus nephritis Class II - Mesangial proliferative lupus nephritis Class III - Focal lupus nephritis Class IV - Diffuse lupus nephritis CLass V - Membranous lupus nephritis Class VI - Advanced sclerotic lupus nephritis Ref: Harrison Edition - 18, Page - 2727